Intracardiac defibrillator is useful in management of?
1. Arrhythmogenic RV dysplasia
2. Brugada syndrome
3. LV aneurysm (Post MI)
4. All of the above

Correct answer: 4. All of the above

Explanation: ICD= useful in Pt who have tendency to Tachyarrhythmias In all these conditions there will be tachyarrhythmia. So ICD is useful. Indications for use of ICD: A: ARVD, Aneurysm B: Brugada syndrome C: Cardiomyopathy Long QT syndrome/Romano ward syndrome